True regarding transport across a cell membrane is
1. Cl- with glucose symport
2. Na+ with glucose antiport
3. Na+ with glucose symport
4. K+ with glucose symport

Correct answer: 3. Na+ with glucose symport

Explanation: Ans. (c) Na+ with glucose symportSodium Glucose Cotransporter (SGLT) is an example for a secondary active transport processLocations - SGLT 1-intestine, SGLT 2-Proximal convoluted tubule of kidneyInhibitors of SGLT-2 are synthetic analogs of phlorizin namely canagliflozin, dapagliflozin, and empagliflozinThese drugs are used in treatment of diabetes mellitus